Floor of Petit triangle is formed by?
1. Sacrospinalis
2. Internal oblique
3. Rectus abdominis
4. Fascia Transversalis

Correct answer: 2. Internal oblique

Explanation: Ans. is 'b' i.e., Internal oblique Boundaries of Petit triangle (inferior lumbar triangle) are?Base - Iliac crestAnterior boundary (abdominal boundary) - Posterior border of external oblique muscle.Posterior boundary (lumbar boundary) - Anterior border of latissimus dorsi.Floor is formed by internal oblique muscle.